Vossius ring occurs in -
1. Lens dislocation
2. Concussion injury
3. Penetrating injury
4. Extra capsular extraction

Correct answer: 2. Concussion injury

Explanation: Blunt trauma (concussion) to eye can cause vossius ring.